The highest percentages of polyunsaturated fatty acids are present in –
1. Groundnut oil
2. Soyabean oil
3. Margarine
4. Palm oil

Correct answer: 2. Soyabean oil